Kussmaul's sign is seen in all of the following, except:
1. Restrictive cardiomyopathy
2. Right ventricular infarction
3. Constrictive pericarditis
4. Cardiac tamponade

Correct answer: 4. Cardiac tamponade

Explanation: Kussmaul's sign is defined by either a rise or a lack of fall of the JVP with inspiration and is classically associated with constrictive pericarditis. It is also seen in patients with restrictive cardiomyopathy, massive pulmonary embolism, right ventricular infarction, and advanced left ventricular systolic heart failure. Ref: Harrison's Internal Medicine, 18th Edition, Pages 1823, 1972-74